The best method of controlling bleeding is to
1. Apply a torniquet
2. Apply direct pressure to the injury
3. Compress pressure points between the injury and the heart
4. Bandage the area

Correct answer: 2. Apply direct pressure to the injury